A 3 year old boy with normal developmental milestones with delayed speech and difficulty in communication and concentration. He is not making friends. Most probable diagnosis is –
1. Autism
2. ADHD
3. Intellectual disability
4. Specific learning disability

Correct answer: 1. Autism

Explanation: Delayed speech, difficulty in communication and concentration in a 3 year old child suggests the diagnosis of autism.
Autism

Autism is a neurologic disroder characterized by -


Qualitative impairment in social interaction
Qualitative impairment in communication.
Restricted repetitive and streotyped patterns of behaviour, interests, and activities.